Chemical cauterization in odontogenic keratocyst
is done by
1. Hydrogen peroxide
2. Carnoy's solution
3. Superoxide solution
4. Betadine

Correct answer: 2. Carnoy's solution